Angelman syndrome is due to
1. Digenic inheritance
2. Inversions
3. Uniparental disomy
4. Mitochondrial disorder

Correct answer: 3. Uniparental disomy

Explanation: Most cases of Angelman syndrome are notinherited, particularly those caused by a deletion in the maternal chromosome 15 or by paternal uniparental disomy. Thesegenetic changes occur as random events during the formation of reproductive cells (eggs and sperm) or in early embryonic development. Angelman syndrome was once known as'happy puppet syndrome' because of the child's sunny outlook and jerky movements. It is now called Angelman syndrome after Harry Angelman, the doctor who first investigated the symptoms in 1965. Refer robbins 172